Chemical name for ectasy is -
1. MDMA
2. MDHA
3. EDHA
4. MDAM

Correct answer: 1. MDMA

Explanation: Ans. is 'a' i.e., MDMA o Ectasy is 3,4 methylene-dioxymethampphetamine-MDMA.o It is a stimulant with hallucinogenic properties.